Lacquer cracks in pathological myopia is due to breaks in
1. Retinal pigment epithelium
2. Bruch's membrane
3. Outer plexiform layer
4. Inner plexiform layer

Correct answer: 2. Bruch's membrane

Explanation: Lacquer cracks in pathological myopia is due to breaks in Bruch's membrane.